All of the following are causes of hemorrhagic pleural effusion except?
1. Pulmonary embolism
2. Rheumatoid arthritis
3. Pancreatitis
4. TB

Correct answer: 2. Rheumatoid arthritis

Explanation: Hemorrhagic pleural fluid may result from : Trauma Malignancy Post-pericardiotomy syndrome Asbestos-related effusion Pulmonary embolism Tuberculosis Sub-phrenic disease